All of the following are H2 blockers except ?
1. Cimetidine
2. Ranitidine
3. Famotidine
4. Omeprazole

Correct answer: 4. Omeprazole

Explanation: Ans. is `d' i.e., Omeprazole Drugs for peptic ulcer 1. Reduce gastric acid secretion a) H2 antihistaminic - Cimetidine, Ranitidine, Famotidine, Roxatidine. b) Proton pump inhibitors - Omeprazole, Lansoprazole, Pantoprazole, Rabeprazole, Esomeprazole. c) Anticholinergics - Pirenzepine, propantheline, oxyphenonium. d) Prostaglandin analogue - Misoprostol, enprostil, rioprostil. 2. Neutralization of gastric acid (antacids) a) Systemic - Sodium bicarbonate, sodium citrate. b) Non systemic - Magnesium hydroxide, Mag. trisilicate, aluminium hydroxide, Magaldrate, calcium carbonate. 3. Ulcer protectives Sucralfate, colloidal bismuth subcitrate, Prostaglandin analogue. 4. Anti H. pylori durgs Amoxicillin, clarithromycin, metronidazole, Tinidazole, tetracycline. Note - PG analogue have both antisecretory (|- HC1 secretion) as well as cytoprotective action.